A dead body is found to have marks like branching of a tree on front of chest. The most likely cause of death could be due to:
1. Fire-arm
2. Lightening injury
3. Injuries due to bomb blast
4. Road traffic accident

Correct answer: 2. Lightening injury

Explanation: B i.e. Lightening injury